All of the following are true ofr a screening test except -
1. Less accurate
2. Forms the basis for treatment
3. Test results are arbitrary
4. Less expensive

Correct answer: 2. Forms the basis for treatment

Explanation: .screening tests that are commonly employed are capable of interpreting results,but only less accurate.test results are always based on arbitrary considerations,and it is not taken as a basis for any kind of treatment thatn is employed in the prevention as well as cure of a disease.but the increased accessibility of screening tets can be attributed to the less expenses they meet with. ref:park's textbook ,22 nd edition,pg no 130